Factors involved in intrinsic pathway are all except
1. VII
2. VIII
3. IX
4. XII

Correct answer: 1. VII

Explanation: Factor VII is involved in extrinsic pathway. Lipoprotein complex of tissue factor(released by traumatized tissues) complexes with Factor VII and acts on Factor X to form activated Factor X(Xa) in the extrinsic pathway. Factor VIII, IX, and XII are involved in intrinsic pathway. In the intrinsic pathway, activated Factor XII activates Factor XI. Activated Factor IX in concert with activated Factor VIII activates Factor X. Ref: Ganong's review of medical physiology, 23rd edition, pg 532&533 Mnemonics extrinsic pathway - factors 3 and 7 Tissue factor is 3. 3+7 =10 common pathway intrinsic pathway- factors 12 to 8 except 10 which is a part of common pathway.